Insulin-like Growth factor II plays an important role in
1. Control of metablism
2. Skeletal growth
3. Cartilage growth
4. Devolopment of foetus

Correct answer: 4. Devolopment of foetus

Explanation: The insulin-like growth factor II (IGF-II) internal ribosome entry site IRES is found in the 5' UTR of IGF-II leader 2 mRNA. This RNA element allows cap-independent translation of the mRNA and it is thought that this family may facilitate a continuous IGF-II production in rapidly dividing cells during development.Ref: Ganong's review of medical physiology; 24th edition